Thiopentone is contraindicated in ?
1. Acute intermittant porphyria
2. Electro convulsive therapy
3. Sarcoidosis
4. Diabetic patients

Correct answer: 1. Acute intermittant porphyria

Explanation: Ans. is 'a' i.e., Acute intermittant porphyria Thiopentone It is an ultrashort acting barbiturate. It has short duration of action due to rapid redistribution. It causes fall in BP due to vasodilatation - Cardiovascular collapse may occur if hypovolemia, shock or sepsis are present. It can cause respiratory depression. It has anticonvulsant action - agent of choice for neurosurgical procedures. It is the agent of choice for cerebral protection. because it decreases ICT, and cerebral metabolic rate. Miller 6th/e - 330, 332 .o It is poor analgesic -f painful procedure should not be done.It produces hyperalgesia. It has poor muscle relaxant property. Extravasation of the solution or inadverent intrarterial injection produces intense pain - thrombosis and vasoconstriction can cause necrosis and gangrene. Treatment of this condition includes. Leaving needle insitu Brachial block Heparin injection to - prevent thrombosis Dilution of thiopentol t by injection of saline into the artery. Papaverine injection - to relieve spasm. Urokinase, streptokinase, vasodilators, steroid and lignocaine can also be used. Contraindications Acute intermittant porphyria Cardiovascular instability or shock. Respiratory obstruction No availibility of airway equipments. Status asthmaticus